M/ C uterine malformation associated with renal anomalies: .
1. Bicornuate
2. Unicornuate
3. Septate
4. Didelphys

Correct answer: 2. Unicornuate

Explanation: Unicornuate uterus is seen in 1% cases and is associated with abnormality of kidney on that side.It is recognised by absence of round ligament and fallopian tube on opposite side.This condition can cause abortion,preterm labour and IUGR SHAW'S TEXTBOOK OF GYNAECOLOGY,Pg no:99,15th edition